In Carpal tunnel syndrome, features are of -
1. Compression of ulnar nerve
2. Compression of median nerve under the flexor retinaculum
3. Anaesthesia over thenar eminence
4. Atrophy of hypothenar muscles

Correct answer: 2. Compression of median nerve under the flexor retinaculum

Explanation: The carpal bones form an arch which is convex on the dorsal side of the hand and concave on the palmar side.
The groove on the palmar side is covered by flexor retinaculum, thus forming carpal tunnel.
Carpal tunnel syndrome is caused by compression of median nerve.